Moneteggia fracture is fracture of
1. Lower 1/3rd of Radius
2. Upper 1/3rd of radius
3. Lower 1/3rd of ulna
4. Upper 1/3rd of Ulna

Correct answer: 4. Upper 1/3rd of Ulna

Explanation: D i.e. Upper 1/3rd of ulna